Lalloo 50 yrs, a chronic smoker presents with a history of hemoptysis. He was having truncal obesity and hypertension. He had an elevated ACTH level which was not suppressible with high dose dexamethasone. What would be the most probable diagnosis -
1. Bilateral adrenal hyperplasia
2. Adrenal adenoma
3. Pituitary tumor
4. Ectopic ACTH producing lung cancer

Correct answer: 4. Ectopic ACTH producing lung cancer